Antiepileptics used as analgesics are :
1. Carbamazepine and valproate
2. Phenytoin and valproate
3. Carbamazepine and phenytoin
4. Diazepam and Chlorpromazine

Correct answer: 3. Carbamazepine and phenytoin